Most common renal condition in HIV patient is-
1. Membrano proliferative glomerulonephritis
2. Focal segmental glomerulosclerosis
3. Membranous glomerulonephritis
4. Difftise proliferative glomerulonephritis

Correct answer: 2. Focal segmental glomerulosclerosis

Explanation: About 50%of HIV -infected patients with kidney disease have HIV -associated nephropathy (HIVAN) on biopsy. The ledion in HIVAN is FSGS, and present with nephrotic range proteinuria and hypoalbuminemia. They do not commonly have edema, hypertension or Hyperlipidemia In HIV -infected patients not yet on therapy .the presence of HIVAN is an indication to start anti retroviral therapy. Ref:Harrison 20 th edition pg no 2149